The effective medical therapies for variceal bleeding in the setting of cirrhosis of liver are all, EXCEPT:
1. Somatostatin
2. Octreotide
3. Terlipressin
4. Omeprazole

Correct answer: 4. Omeprazole

Explanation: MEDICAL THERAPIES FOR VARICEAL BLEEDING: Somatostatin and octreotide cause selective splanchnic vasoconstriction and lower portal pressure. Vasoactive drugs (e.g., octreotide, somatostatin, terlipressin are as effective as sclerotherapy for controlling variceal bleeding. Octreotide is the drug of choice as an adjunct to endoscopic therapy for the treatment of variceal hemorrhage. Ref:Sleisenger and Fordtran's,E-9,P-306